Which of the following is not an adverse effect of chronic amiodarone therapy ?
1. Pulmonary Fibrosis
2. Hypothyroidism
3. Hyperthyroidism
4. Systemic lupus erythematosis

Correct answer: 4. Systemic lupus erythematosis